Mechanism of action of Tubocurarine is
1. Cholinesterase inhibitor
2. Cause membrane depolarisation
3. Competitive antagonist of acetylcholine receptor
4. Inhibit opening of chloride channels

Correct answer: 3. Competitive antagonist of acetylcholine receptor

Explanation: Tubocurarine is a non depolarizing muscle relaxant that competitively blocks action of Acetylcholine on its receptors.